The pre-malignant condition with the highest probability of progression to malignancy is
1. Dysplasia
2. Hyperplasia
3. Leuoplakia
4. Erythroplakia

Correct answer: 4. Erythroplakia

Explanation: Incidence of malignant change in erythroplakia is 17- fold higher than in leukoplakia.